Which of the following is not a complete sterilization agent?
1. Glutaraldehyde
2. Absolute alcohol
3. Hydrogen peroxide
4. Sodium hypochlorite

Correct answer: 2. Absolute alcohol

Explanation: Sterilization refers to removal of all forms of life, including bacterial spores. This may be accomplished by Physical and Chemical methods. Thus a complete sterilizing agent needs to act on spores also. Out of the choices provided, Glutaraldehyde, Hydrogen Peroxide and Sodium Hypochlorite, all may act on spores as well. Although alcohols have a wider spectrum, they are not sporicidal - Hence they cannot be referred as Complete Sterilizing agents. Ref: Diagnostic Microbiology, 2nd Edition, Page 29 ; Clinical Microbiology, 7th Edition, Page 145